AVDRL reactive mother gave birth to an infant. All of the following would help in determining the risk of transmission to the infanct except -
1. TPHA test on the serum sample of the mother
2. TPHA test on the serum samle of the infant
3. VDRL on the paired serum sample of the infant and mother
4. Time interval between the treatment of the mother and her delivery

Correct answer: 2. TPHA test on the serum samle of the infant

Explanation: Ans. is 'b' i.e., TPHA test on the serum sample of the infant